Hertwig's epithelial root sheath is made up of
1. Outer and inner enamel epithelium
2. Stratum intermedium
3. Stellate reticulum
4. Hyaline layer of Hopewell-smith

Correct answer: 1. Outer and inner enamel epithelium

Explanation: Hertwig's root sheath includes the outer and inner enamel epithelium only. It does not include the stratum intermedium and stellate reticulum.